Which of the following is/are included in bipolar disorders:
1. Hypomania
2. Cyclothymia
3. Paranoid disorder
4. Option 1 and 2

Correct answer: 4. Option 1 and 2

Explanation: Hypomanic episode and cyclothymia have been classified under bipolar disorders